The following Vitamin deficiency is manifested principally by lesions of the mucocutaneous surfaces of the mouth and skin, corneal vascularization, anemia and personality changes:
1. Thiamine
2. Riboflavin
3. Pyridoxine
4. Cyanocobalamin

Correct answer: 2. Riboflavin

Explanation: (B) Riboflavin # Vitamin B1 (Thiamine) is a precursor of the coenzyme thiamine pyrophosphate, which functions in carbohydrate metabolism. Deficiency leads to beriberi in humans and to polyneuritis in birds. Good sources include brewer's yeast, wheatgerm, beans, peas, and green vegetables.> Vitamin B2 (RIBOFLAVIN) occurs in green vegetables, yeast, liver, and milk. It is a constituent of the coenzymes FAD and FMN, which have an important role in the metabolism of all major nutrients as well as in the oxidative phosphorylation reactions of the electron transport chain. Deficiency of B2 causes inflammation of the tongue and lips and mouth sores.> Riboflavin deficiency is manifested principally by lesions of the mucocutaneous surfaces of the mouth and skin. In addition to the mucocutaneous lesions, corneal vascularization, anemia, and personality changes have been described with riboflavin deficiency.> Vitamin B6 (Pyridoxine) is widely distributed in cereal grains, yeast, liver, milk, etc. It is a constituent of a coenzyme (pyridoxal phosphate) involved in amino acid metabolism. Deficiency causes retarded growth, dermatitis, convulsions, and other symptoms.> Vitamin B12 (Cyanocobalamin; cobalamin) is manufactured only by microorganisms and natural sources are entirely of animal origin. Liver is especially rich in it. One form of B12 functions as a coenzyme in a number of reactions, including the oxidation of fatty acids and the synthesis of DNA. It also works in conjunction with folic acid (another B vitamin) in the synthesis of the amino acid methionine and it is required for normal production of red blood cells. Vitamin B12 can only be absorbed from the gut in the presence of a glycoprotein called intrinsic factor; lack of this factor or deficiency of B12 results in pernicious anaemia.